Which of the following nerve is the largest branch of ophthalmic division of trigeminal nerve?
1. Frontal nerve
2. Lacrimal nerve
3. Nasociliary nerve
4. Long ciliary nerve

Correct answer: 1. Frontal nerve

Explanation: The three branches of ophthalmic division of trigeminal nerve are lacrimal, frontal and nasociliary nerve. Frontal nerve is the largest of the three branches of ophthalmic division. It arise in the cavernous sinus just behind the superior orbital fissure through which it enters the orbit. The two branches of frontal nerve are supraorbital and supratrochlear nerve. Lacrimal nerve is the smallest branch. It supplies the lacrimal gland, conjunctiva and skin of the lateral upper part of the upper lid. Nasociliary nerve is intermediate in size between the lacrimal and frontal nerve. Branches of it are: Sensory root of sensory ganglion Long ciliary nerves Posterior ethmoidal nerve Anterior ethmoidal nerve Infratrochlear nerve Ref: Textbook of Ophthalmology edited by Sunita Agarwal, page 346